Lower lid surgery in which plication of the lower lid retractors is done is called ?
1. Quickert
2. Jones
3. Weiss
4. Modified wheelers

Correct answer: 2. Jones

Explanation: Ans. is 'b' i.e., Jones Jones, Rech And Wobig Operation It is performed for severe cases or recurrent cases of entropion. In this operation the inferior lid retractors are straightened by tucking or plication procedure.